Male with patchy loss of scalp hair and grey hair in the eyebrows and beard diagnosis is
1. Anagen effluvium
2. Alopecia areata
3. Telogen effluvium
4. Androgenic alopecia

Correct answer: 2. Alopecia areata

Explanation: B i.e. Alopecia areataSingle or multiple circumscribed smooth patchy hair loss, most obviously on scalp but frequently involving any hair bearing skin eg beard, eyebrows, eye lashes, with pathognomic "exclamation mark" & "going gray overnigth" phenomenon ( i.e., white or gray hairs are frequently spared)Q indicate the diagnosis of alopecia areata. Scanty stumps form 'Exclamation mark (!) in alopecia areata